The drug used for scabies is/are
1. Sulphur ointment
2. Benzyle benzoate
3. Gamma benzene hexachloride
4. All

Correct answer: 4. All

Explanation: D i.e. All of the above